Which is X - linked dominant condition ?
1. Phosphate diabetes
2. Hemophilia
3. Gaucher disease
4. Cystic fibrosis

Correct answer: 1. Phosphate diabetes